Staphylococcal food poisoning includes the following feature -
1. Incubation period of 24 hrs.
2. Requires immediate antibiotics
3. Common with dairy products
4. Heat labile enterotoxin

Correct answer: 3. Common with dairy products

Explanation: Staph aureus food poisoning

S. aureus food poisoning results from inoculation of 'toxin-producing S. aureus' into food by colonized food handlers.


It is caused by preformed enterotoxin. This enterotoxin is heat stable. It is a superantigen-like toxic shock syndrome toxin.
Eight antigenic types of enterotoxins are currently known A, B, C1, C2, C3, D, E and H. Type A is responsible for most of the cases.
The toxin stimulates the vagus nerve and vomiting center of brain. It acts directly on the autonomic nervous system rather than on gastrointestinal mucosa.
The toxin is antigenic and neutralized by the specific antitoxin.


Enterotoxins are produced when S. aureus grows on carbohydrate and protein foods.


Staphylococcal food poisoning occurs after eating meat and fish, or milk and milk products as custards or potato salad.
Staph food poisoning is characterized by nausea and vomiting within 1-6 hours of ingestion. Diarrhea, hypotension, and dehydration may also occur. Fever is unusual.
Diagnosis can be established by demonstration of bacteria or documentation of enterotoxin in the implicated food.
Staphylococcal food poisoning is self-limited illness, symptoms generally resolve within 8 to 10 hrs. Treatments are symptomatic only, no antibiotic is required.